Placenta succenturiata may have all except
1. Preterm delivery
2. PPH
3. Missing lobe
4. Sepsis and subinvolution

Correct answer: 1. Preterm delivery

Explanation: The placenta succenturiata is diagnosed following inspection of the placenta after its expulsion. (1)with intact lobe (2)with missing lobe. If the succenturiate lobe is retained, it may lead to(1)PPH (2)subinvolution (3)uterine sepsis (4)polyp formation. Reference: DC Dutta's textbook of obstetrics,8th edition, page no:252